Which of the following statements best describes a G protein? All G proteins
1. Consist of an A, B and y subunit and the primary difference among them resides in the B subunit
2. Are associated with cellular membranes
3. Do not play a role in amplification of a hormonal signal
4. Play a role in regulating cyclic adenosine monophosphate (cAMP) levels

Correct answer: 2. Are associated with cellular membranes

Explanation: G proteins are membrane proteins that act as transducers by passing the signal conveyed to a receptor, a hormone, to an enzyme that is located inside the membrane. This enzyme then alters the concentration of a second messenger, which induces the required intracellular response. There are many different types of G proteins; the primary difference among them is found in the a subunit, rather than the or the y subunits. G proteins play an important role in signal amplification because one receptor can activate several G proteins, which in turn effects the activity of many enzymes, such as adenylate cyclase or phospholipase C. These G proteins are divided into three major groups defined by their effect. Gs proteins activate adenylate cyclase, raising cyclic adenosine monophosphate (cAMP) levels; and Gp proteins activate phosphalipase C, liberating inositol triphosphate and diacylgylcerol.